Group of alleles that are closely linked together at a genomic locus & inherited together as a cluster is/are:
1. Idiotype
2. Haplotype
3. Genotype
4. Phenotype

Correct answer: 2. Haplotype

Explanation: Ans. (B) Haplotype( )The entire human genome now can be divided into blocks known as haplotypes, which contain varying numbers of contiguous single nucleotide polymorphisms on the same chromosome that are in linkage disequilibrium & hence inherited together as a clusterA haplotype refers to a group of alleles that are closely linked together at a genomic locus.Haplotypes are useful for tracking the transmission of genomic segments within families and for detecting evidence of genetic recombination, if the crossover event occurs between the alleles.